Which of the following drugs acts on "motilin" receptors-
1. Erythromycin
2. Tetracycline
3. Norfloxacin
4. Chloramphenicol

Correct answer: 1. Erythromycin

Explanation: Ans. is 'a' i.e., Erythromycin o Erythromycin stimulates motilin receptors in the GIT-thereby, induces gastric contractions, hastens gastric emptying and promotes intestinal motility.